The virus causes aplastic anemia in chronic hemolytic diseases is -
1. Adenovirus
2. Hepatitis virus
3. EB virus
4. Parvo virus

Correct answer: 4. Parvo virus

Explanation: parvovirus B19 induxes aplastic crisis in children with chronic hemolyyic anemia REF:ANATHANARAYANAN MICROBIOLOGY NINTH EDITION PAGE.554